What is phacoanaphylactic Uveitis?
1. Uveitis as a result of lens tissue induced inflam mation following cataract surgery
2. Uveitis following cataract extraction in automiimune diseases like rheumatoid arthritis
3. Uveitis seen with phacoemulsification cataract surgery
4. Uveitis associated with fungal comeal ulcer

Correct answer: 1. Uveitis as a result of lens tissue induced inflam mation following cataract surgery

Explanation: Ans. is 'a' i.e., Uveitis as a result of lens tissue induced inflam mation following cataract surgery o Due to cataract extraction or lens trauma, lens matter induces inflammation in the uveal tissue, called phacoanaphylactic/phacotoxic uveitis:# Phacoanaphylaxis/lens-induced uveitis occurs in the setting of a ruptured or degenerative lens capsule and is characterized by a granulomatous antigenic reaction to lens protein.# Lens proteins are most likely immunologically privileged, and they may initiate an immunologic sensitization only after entering the aqueous humor. This privilege is probably because of numerous factors, as follows: lens proteins are isolated from the fetal circulation early in embryonic life, the lens is devoid of innervation, and the adult lens is completely avascular.